Negri bodies are found in -
1. Rubella
2. Rabies
3. HSV
4. IMN

Correct answer: 2. Rabies

Explanation: Negrie bodies are abundant un cerebellum&hippocampoudin rabies REF:
ANATHANARAYANAN MICROBIOLOGY NINTH EDITION PAGE.444